Jones Fracture is -
1. Fracture neck of 2nd metatarsal
2. Fracture base of 5th Metatarsal
3. Fracture dislocation of metatarsophalangeal joints
4. Fracture Neck of talus

Correct answer: 2. Fracture base of 5th Metatarsal

Explanation: Ans. is 'b' i.e., Fracture base of 5th Metatarsal NameFracture's of lower limbJones FractureAvlsion fracture at the base of 5th metatarsalStraddle fractureBilateral superior and inferior pubic rami fractures of the pelvis.Malagaigne's fractureA fracture of pelvis having a combination of ipsilateral fracture of pubic rami anteriorly and sacro-iliac joint disruption posteriorly.Lisfranc's fracture-dislocationA fracture dislocation through tarso-metatarsal joints.Aviator's fractureFracture of neck of the talusCotton's fractureTrimalleolar ankle fractureBumper fractureComminuted, depressed fracture of the lateral tibial condyleMarch fractureFatigue fracture of the shaft of 2nd and 3rd metatarsal